False statement regarding the surgical anatomy of small intestine is
1. Ligament of trietz marks the Junction between duodenum and jejunum
2. Ileum makes upto three-fifths of the small intestine
3. The blood supply to the jejunum may have 4 or 5 seperate arcades with shorter vasa recta
4. The jejunum has a larger circumference, is thicker than ileum

Correct answer: 3. The blood supply to the jejunum may have 4 or 5 seperate arcades with shorter vasa recta

Explanation: Gross Anatomy of small intestine The entire small intestine, which extends from the pylorus to the cecum, measures 270 to 290 cm, with duodenal length estimated at approximately 20 cm, jejunal length at 100 to 110 cm, and ileal length at 150 to 160 cm. The jejunum begins at the duodenojejunal angle, which is supported by a peritoneal fold known as the ligament of Treitz. There is no obvious line of demarcation between the jejunum and the ileum; however, the jejunum is commonly considered to make up the proximal two fifths of the small intestine, and the ileum makes up the remaining three fifths. The jejunum has a somewhat larger circumference, is thicker than the ileum, and can be identified at surgery by examining mesenteric vessels. In the jejunum, only one or two arcadessend out long, straight vasa recta to the mesenteric border, whereas the blood supply to the ileum may have four or five separate arcades with shorter vasa recta. The mucosa of the small bowel is characterized by transverse folds (plicae circulares), which are prominent in the distal duodenum and jejunum. Ref: Sabiston 20th edition Pgno: 1238